A 30-year-old non-smoker presented with cough and shortness of breath, fatigue, fever and night sweats for 3 weeks. On examination, specific skin lesions were noted over the lower limbs and on ophthalmoscopic examination anterior uveitis was diagnosed. Lab findings revealed elevated alkaline phosphatase levels along with hypercalcemia and raised ACE levels. Lung biopsy was taken. CHEST X -RAY HRCT CHEST What is the diagnosis in the above patient: -
1. Sarcoidosis
2. IPF
3. Hypersensitivity pneumonitis
4. Emphysema

Correct answer: 1. Sarcoidosis

Explanation: This is a case of sarcoidosis. 1st image is of erythema nodosum. 2nd image shows maculopapular lesions on skin. Chest x ray shows bilateral hilar adenopathy, stage 1 disease. CT image shows patchy reticular nodularity, including areas of confluence HPE image shows an epithelioid cell granuloma. Rest of the 3 options are ruled out as they don't have any of the skin lesions.